Nervi Furcalis is related to:
1. L3
2. L4
3. L5
4. L6

Correct answer: 2. L4

Explanation: Ans: (b) L4Ref: Gray's Anatomy, The Anatomical Basis of Clinical Practice, Susan Standring, 41st edition, 2016, Page 1093The furcal nerve is the L4 nerve root.The term furcal refers to its forked nature since it links the lumbar and sacral plexuses.The furcal nerve with its own ventral and dorsal rootlets contribute to the femoral and obturator nerves.Occasionally, the furcal nerve arises at the level of the third or the fifth lumbar nerve roots, in which case the sacral plexus is considered prefixed or postfixed, respectively.